Specimens of toxicological studies are preserved in ?
1. 10% of formaldehyde
2. Alcohol
3. Supersaturated solution of common salt
4. Rectified spirit

Correct answer: 3. Supersaturated solution of common salt

Explanation: Ans. is 'c' i.e., Supersaturated solution of common salt Most common preservative for toxicological specimen is saturated solution of sodium chloride (NaC1).